A person was given a muscle relaxant that competitively blocks nicotinic receptors. Which of the following drug is used for reversal of muscle relaxation after surgery?
1. Neostigmine
2. Carbachol
3. Succinylcholine
4. Physostigmine

Correct answer: 1. Neostigmine

Explanation: Neostigmineis water soluble reversible anticholilnesterases used to reverses muscle paralysis induced by competitive neuromuscular blockers Carbachol is a parasympathomimetic that mimics the effect of acetylcholine on both the muscarinic and nicotinic receptors. This drug is administered ocularly to induce miosis to reduce intraocular pressure in the treatment of glaucoma. Succinyl choline is a depolarising muscle relaxant. Physostigmine is lipid soluble Reversible anticholinesterases can cross blood brain barrier therefore not used in reversal muscle relaxation